Cowper glands are found in -
1. Prostatic part of urethra
2. Membranous part of urethra
3. Penile part of urethra
4. Interior of the urethra

Correct answer: 2. Membranous part of urethra

Explanation: The mucus-secreting bulbourethral glands are situated posterolateral to the membranous part of the urethra. But, they open into spongy part of the urethra.